An obese female having hirsutism on laboratory investigation has a high level of LH and androgens. Likely cause is
1. PCOS
2. Exogenous steroid ingestion
3. Turner syndrome
4. Kleinfelter syndrome

Correct answer: 1. PCOS

Explanation: The clinical and laboratory features of the patient described in the question match with those of PCOS as depicted in the table.
So the most appropriate answer is PCO